SARS is caused by?
1. Influenza virus
2. Corona virus
3. Anthrax virus
4. Poxvirus

Correct answer: 2. Corona virus

Explanation: ANSWER: (B) Corona virusREF: Jawetz Microbiology 24th edition chapter 41See details of SARS in Microbiology 2012 Session 1Repeat Microbiology June 2009